Splenosis means
1. Infection of spleen
2. Presence of accessory spleen
3. Rupture of spleen and distribution of its tissue on peritoneum
4. Non-functioning spleen

Correct answer: 3. Rupture of spleen and distribution of its tissue on peritoneum

Explanation: • Splenosis or regeneration of miniscule splenic remnants in the peritoneal cavity
• May be encountered in cases of traumatic rupture where splenic tissue disseminates throughout the peritoneal cavity.